Following drug can cause toxic epidermal necrolysis as an adverse effect?
1. Felbamate
2. Gabapentin
3. Lamotrigine
4. Vigabatrin

Correct answer: 3. Lamotrigine

Explanation: Lamotrigine - Na+ channel blocker, increase GABA, Decrease glutamate. Adverse effect- Steven Johnson syndrome and toxic epidermal necrolysis In children, it can result in serious dermatological reactions that necessitate withdrawal. Drug That Release GABA GABAPENTIN, Pregabalin By Inhibiting The Metabolism VIGABATRIN Causes visual field defects It is used for infantile spasm Drug Inhibiting The Reuptake TIAGABINE These are GAT-I inhibitor